True about Dermatomyositis -a) Gottron signb) ANA is positive in all casesc) All cases a/w internal malignancyd) Proximal muscle wastinge) Steroid maintenance
1. acd
2. bde
3. ade
4. ad

Correct answer: 3. ade